A 40 Year old female patient presented with dysphagia to both liquids and solids and regurgitation for 3 months. The dysphagia was non-progressive. What is the most likely diagnosis
1. Carcinoma of the esophagus
2. Lower esophageal mucosal ring
3. Achalasia cardia
4. Reflux esophagitis with esophageal stricture

Correct answer: 3. Achalasia cardia

Explanation: .Clinical Features of achalasia cardia includes * Common in females between 20 and 40 years age group. * Chest pain occurs in early stage. * Achalasia with diffuse oesophageal spasm is called as 'vigorous achalasia'. * Presents with progressive dysphagia, which is more for liquid than to solid food. * Regurgitation and recurrent pneumonia are common (10%). * Malnutrition and general ill health. * Lung abscess formation. * Odynophagia and weight loss. ref:SRB's manual of surgery,ed 3,pg no 729